PID does not include:
1. Cervicitis
2. Endometritis
3. Peritonitis
4. Salpingitis

Correct answer: 1. Cervicitis

Explanation: Ans: A (Cervicitis) Ref: Dutta Textbook of Gynecology 5th Ed pg 124Explanation:PELVIC INFLAMMATORY DISEASE (PID)Infection of upper genital tract involvingEndometriumFallopian tubesOvariesPelvic peritoneum and surrounding structuresCervicitis is not included in PIDRisk factorsMenstruating teenagersMultiple sexual partnersNo OCP useIUCD usageSTDsProtective factorsCondomsOCPsPregnancyMenopauseWomen whose partner has done vasectomyHusband is azoospermicCausative organismsNeisseria gonorrhoae Chlamydia trachomatisMycoplasma hominisSymptomsLower abdominal painFeverLassitudeExcessive vaginal bleedingPurulent vaginal dischargeDyspareuniaFitz-Hugh Curtis syndrome--Acute salpingitis with perihepatitis causes pain in right hypochondiiumInvestigationsDischarge sent for stain and cultureLeucocytosisLaparoscopy USGTreatmentDoxy 100 mg bd.Erythromycin 500 mg qid.Tetracycline 500 mg qid. Metronidazole 500 mg bd.Azithromycin Ism single dose. Ofloxacin 400 mg bd for 7 to 14 days.For N. gonorrhoea Ceftriaxone 250 mg deep IM single dose, Ciproflox 500 mg orally single dose.